Lymphoma Marker is:
1. S-100
2. HMB-45
3. Leukocyte common antigen
4. Cytokeratin

Correct answer: 3. Leukocyte common antigen

Explanation: Ans. c. Leukocyte common antigen (LCA or CD45): "LCA or CD45 is expressed brightly in normal lymphocytes as well as in most of the lymphoproliferative disorder. It is also variably expressed in other leukocytes. It is absent in erythroid cells." -Iochims Lymph Node Pathology 4/43 S-100: S-100 is a marker that comes positive in chondrocytes, schwann cells, fat cells, oligodendrocytes and other neural crest origin cells and tumors. HMB-45: HMB-45 is a activated melanocytic marker expressed in melanoma cells. Cytokeratin: Cytokeratin is expressed in normal and malignant epithelial cells.